The following is a killed vaccine
1. Varicella
2. BCG
3. OPV
4. Meningococcal vaccine

Correct answer: 4. Meningococcal vaccine

Explanation: Pertussis, meningococcal, Salk, cholera, rabies, influenza are killed vaccines BCG OPV are live attenuated vaccines Ref: Textbook of Microbiology Baveja 4th ed Pg 617